Repeated advertisement in newspaper by a medical practitioner is an example of -
1. Infamous conduct
2. Ethical negligence
3. Criminal negligence
4. Privilaged communication

Correct answer: 1. Infamous conduct

Explanation: Unnecessary advertisement on TV, radio, posters or banners is considered as professional misconduct (infamous conduct).